The strain used in Mumps vaccine is
1. Jeryl Lynn
2. Edmonston Zagreb
3. RA 27/3
4. Oka

Correct answer: 1. Jeryl Lynn

Explanation: The various strains used for Mumps include Jeryl-Lynn, RIT-4385, Leningrad-3, L-Zagreb and Urabe strains.